First permanent tooth to arise:
1. Incisor
2. Canine
3. Premolar
4. Molar

Correct answer: 4. Molar

Explanation: Ans. Molar